Ulnar nerve injury at wrist spares which muscle
1. Opponens pollicis
2. Palmar interossei
3. Dorsal interossei
4. Adductor pollicis

Correct answer: 1. Opponens pollicis

Explanation: Ulnar nerve enters hand by passing superficial to flexor retinaculum at the distal border of which it divides into superficial and deep terminal branches.The deep branch dips between abductor digiti minimi and flexor digiti minimi and pierces opponents digiti minimi to enter the deep part of palm. Here it turns within the concavity of deep palmar arch to end by supplying adductor pollicis. Hence injury of ulnar nerve leads to loss of adduction of thumb the deep terminal branch gives muscular branches to - 3 hypothenar muscles ( hence they also atrophy in nerve injury), adductor pollicis, palmar and dorsal interossei, medial 2 lumbricals. opponen pollicis is supplied by recurrent branch of median nerve. Reference: Textbook of anatomy upper limb and thorax, Vishram Singh ,2nd edition, page no.144, 151